Drug of choice for CML
1. Imitanib mesylate
2. Fludarabine
3. A1 trans retinoic acid (for AML 3)
4. Methotrexate

Correct answer: 1. Imitanib mesylate

Explanation: Ans. (a) Imitanib mesylate (Doc for CML & GIST - Imatinib Mesylate)Ref. KD Tripathi 6th Ed. / 828 & 832IMATINIB* It inhibits the tyrosine protein kinases in chronic myeloid leukaemia (CML) cells and and c-kit receptor found in gastrointestinal stromal tumour (GIST).* Adverse effects are fluid retention, edema, vomiting, abdominal pain, myalgia and liver damageDrugs of choice for some commonly asked malignanciesMalignancyFirst line drugsChronic Lymphatic leukaemiaFludarabineChronic Myeloid leukaemiaImatinibHairy cell leukemiaCLADRIBINEMultiple myelomaMelphalanChoriocarcinomaMethotrexateProstate carcinomaBicalutamide/Flutamide